Most common cause of aortic aneurysm is -
1. Atherosclerosis
2. Syphilis
3. Trauma
4. Congenital

Correct answer: 1. Atherosclerosis

Explanation: Aneurysms are congenital or acquired dilations of blood vessels or the heart . "True" aneurysms involve all three layers of the artery (intima, media, and adventitia) or the attenuated wall of the heart; these include atherosclerotic and congenital vascular aneurysms, as well as ventricular aneurysms resulting from transmural myocardial infarctions. By comparison, a false aneurysm (pseudoaneurysm) results when a wall defect leads to the formation of an extravascular hematoma that communicates with the intravascular space ("pulsating hematoma"). Examples are ventricular ruptures contained by pericardial adhesions and leaks at the junction of a vascular graft with a natural artery. The two most important causes of aortic aneurysms are atherosclerosis and hypertension. Atherosclerosis is the more dominant factor in abdominal aortic aneurysms, while hypertension is associated with ascending aortic aneurysms. (Robbins basic pathology,9th edition.pg no.345)